Youngs surgery is done for the treatment of -
1. Atrophic rhinitis
2. Rhinoscleroma
3. Deviated nasal septum
4. Choanal atresia

Correct answer: 1. Atrophic rhinitis

Explanation: Ans. is 'a' i.e., Atrophic rhinitisSurgical treatment of Atrophic rhinitisYoung's operationModified Young's operationNarrowing of the nasal cavity by (Lautenslagers operation) -Lautenslagers operation